Which of the following anticancer drugs can cross blood brain barrier
1. Cisplatin
2. Nitrosourea
3. Vincristine
4. Vinbalstine

Correct answer: 2. Nitrosourea

Explanation: Nitrosourea like carmustine ,lomustine, and semutine, can cross blood brain barrier and thus are used for treatment of gliomas Refer KDT 6/e p822